Serum alkaline phosphatase level increases in:
1. Hypothyroidism
2. Carcinoma of prostate
3. Hyperparathyroidism
4. Myocardial infarction

Correct answer: 3. Hyperparathyroidism